Drug of choice for Obscessive Compulsive Disorder
1. Imipramine
2. Flouxetine
3. Nor tryptiline
4. Clomipramine

Correct answer: 2. Flouxetine

Explanation: B i.e. fluoxetine